Pellagra like clinical syndrome is found in
1. Homocystinuria
2. Histidinuria
3. Cystinosis
4. Hartnup disease

Correct answer: 4. Hartnup disease

Explanation: Hartnup disease is an autosomal recessive disorder caused by impaired neutral aminoacid transport.
Presents with pellagra Like skin eruptions , Cerebellar ataxia , and gross aminoaciduria.